Loose fibrin accumulated in tight clot in coagulation pathway by factor ?
1. X
2. XI
3. XII
4. XIII

Correct answer: 4. XIII

Explanation: Ans. is 'd' i.e., XIII Loose (soluble) fibrin is converted to insuluble fibrin by thrombin and XIIIa.